Leukotriene receptor antagonist used for bronchial asthma is :
1. Zafirlukast
2. Zileuton
3. Cromolyn sodium
4. Aminophylline

Correct answer: 1. Zafirlukast

Explanation: Montelukast, zafirlukast and pranlukast are Cys-LT1 receptor antagonists.
Zileuton inhibits the production of leukotrienes by inhibiting the enzyme 5-lipoxygenase.